Mature ovum contains:
1. 23X
2. 46X
3. 45XO
4. 47XXY

Correct answer: 1. 23X

Explanation: Ans. A i.e. 23X